Surfers ear is
1. Exostosis
2. Otosclerosis
3. Otitis externa
4. Squamous cell Carcinoma

Correct answer: 1. Exostosis

Explanation: Exostoses are multiple and bilateral, often presenting as smooth, sessile, bony swellings in the deeper part of the meatus near the tympanic membrane. They arise from the compact bone. Exostosis is often seen in persons exposed to the entry of cold water in the meatus as in divers and swimmers. Hence called a surfers ear. Reference: Diseased of Ear, Nose and Throat, PL Dhingra, 7th edition, pg no.119